The structure not passing through the aortic opening of the diaphragm is
1. Aorta
2. Azygous vein
3. Thoracic duct
4. Vagal trunk

Correct answer: 4. Vagal trunk

Explanation: The vagal trunk does not pass through the aortic opening of the diaphragm. It passes through the esophageal opening at the level of T10 vertebrae. Major openings through the diaphragm Level of opening T8 T10 T12 Located in In the central tendon In the muscular part In the crus of the diaphragm Structures passing through Inferior venacava Right Phrenic nerve Oesophagus Vagus nerve-right and left Aorta Thoracic duct Azygous vein Hemiazygous vein Ref: Gray's Anatomy 41st edition Pgno: 899